Ectopic rest of normal tissue is known as ?
1. Choristoma
2. Hamartoma
3. Pheudotumor
4. Lymphoma

Correct answer: 1. Choristoma

Explanation: Ans. is 'a' i.e., Choristoma o Normally arranged tissue at a different anatomical site (ectopic site) --> Choristoma. o Abnormally arranged tissue present at normal site -->Hamartoma